Cobra head appearance is seen in:
1. Ureterocele
2. Wilm's Tumor
3. Horse shoe kidney
4. Vesicoureteral reflux

Correct answer: 1. Ureterocele

Explanation: Ans: A (Ureterocele) Ref: Harrison is online. 18th edExplanation:Some Important Features in ContrastRadiographsSpider leg appearance -- Polycystic kidneyCobra head appearance -- UreteroceleFlower vase appearance of ureters -- Horse shoe kidneySandy patches -- Schistosomiasis of bladderSoap bubble appearance -- HydronephrosisApple core lesion on barium -- Ca colonClaw appearance on barium enema -- IntussusceptionSaw tooth appearance -- Diverticula of colonBirds beak appearance of esophagus on barium meal -- AchalasiaCork screw appearance of esophagus on barium meal -- Diffuse esophageal spasmString sign of kantor -- Crohn's disseaseThumb printing sign -- Ischemic colitisEGG SHELL CALCIFICATION------ Silicosis, Sarcoidosis. Scleroderma, Histoplasmosis, Amyloidosis, lymphoma following radiotherapy